Not an aldose sugar
1. Erythrose
2. Glucose
3. Fructose
4. Galactose

Correct answer: 3. Fructose

Explanation: Aldose sugars glyceraldehyde, erythrose, arabinose, xylose, ribose, glucose, galactose, mannoseRef: DM Vasudevan, 7th edition, page no: 76